Drug of choice of trachoma is –
1. Penicillin
2. Sulfonamide
3. Tetracycline
4. Chloramphenicol

Correct answer: 3. Tetracycline

Explanation: Tetracycline or azithromycin are the drugs of choice for trachoma.
Other drugs used are erythromycin, clarithromycin, rifampicin and sulfonamide.